In periodontitis maximum destruction is present in:
1. Lateral wall of pocket
2. Root surface
3. Junctional epithelium
4. None of the above

Correct answer: 1. Lateral wall of pocket